In a patient with hyperparathyroidism, Xray of the hand shows characteristic radiologic changes in which of the following ?
1. Ulnar aspect of middle phalanx
2. Radial aspect of middle phalanx
3. Radial aspect of little finger
4. Ulnar aspect of little finger

Correct answer: 2. Radial aspect of middle phalanx

Explanation: In hyperparathyroidism there is subperiosteal bone resorption and it characteristically involves radial side of the middle phalanx of the middle finger, medial proximal tibia and lateral end of clavicle. Other radiologic features of hyperparathyroidism includes: Brown tumors: These are focal areas of bone resorption where the bone has been replaced by fibrous tissue and osteoclasts. In the spine, appearance of horizontal bands of sclerosis in the vertebral bodies adjacent to the vertebral end plates result in Rugger Jersey spine appearance. Chondrocalcinosis or calcification of the cartilage Ref: Radiological Differential Diagnosis By Bhargava page 59. Skeletal Radiology: The Bare Bones By Felix S. Chew page 282.